Which of the following is NOT true about prostatic urethra?
1. It passes through the prostate from the apex to the base
2. It contains opening of prostatic ducts
3. Presence of verumontanum
4. Contains urethral crest

Correct answer: 1. It passes through the prostate from the apex to the base

Explanation: The prostatic urethra is about 1.25 in. (3 cm) long and begins at the neck of the bladder. It passes through the prostate from the base to the apex where it becomes continuous with the membranous part of the urethra. It is the widest and most dilatable portion of the entire urethra. On the posterior wall is a longitudinal ridge called the urethral crest. In the middle of the crest is a small swelling, the seminal colliculus (verumontanum), on which opens the prostatic utricle (utriculus masculinus). On each side of this ridge is a groove called the prostatic sinus; the prostatic glands open into these grooves. Alongside it, on the urethral crest, the ejaculatory ducts open. Ref: Clinical Anatomy By Regions By Richard S. Snell, 2011, Page 278.